An antiepileptic drug 'A' can also be used for the treatment of post–herpetic neuralgia and pain due to diabetic neuropathy. Which of the following can be the agent 'A' ?
1. Carbamazepine
2. Gabapentin
3. Lamotrigine
4. Primidone

Correct answer: 2. Gabapentin